Mildly elevated bilirubin, normal liver enzymes are seen in?
1. Malaria
2. Thalassemia
3. G-6 PD deficie
4. All of above

Correct answer: 4. All of above

Explanation: Ans. is 'd' i.e., All of above